Dental wear caused by tooth-to-tooth contact is
1. Abrasion
2. Attrition
3. Erosion
4. Abfraction

Correct answer: 2. Attrition

Explanation: Wasting diseases of the teeth include erosion (corrosion; may be caused by acidic beverages), abrasion (caused by mechanical wear as with toothbrushing with abrasive dentifrice), attrition (due to functional contact with opposing teeth), and abfraction (flexure due to occlusal loading)